Least chances of cord prolapse are seen with
1. Frank breech
2. Complete breech
3. Footling
4. Knee

Correct answer: 1. Frank breech

Explanation: Maximum chances of cord prolapse seen in breech are in footling where as min chances in frank frank breech